Impotence is most commonly caused by which antihypertensive agent-
1. Calcium channel blocker
2. ACE inhibitors
3. ATI receptor antagonists
4. b-blockers

Correct answer: 4. b-blockers

Explanation: Ans. is 'd' i.e., b - blockers Amongst the antihypertensive agents the thiazide diuretics and b-blockers have been implicated most frequently. o Calcium channel blockers and ACE inhibitors are less frequently cited.